Sec 304A IPC deals with
1. Professional misconduct
2. Criminal negligence
3. Contributary negligence
4. Vicarious responsibilty

Correct answer: 2. Criminal negligence

Explanation: Sec 304A IPC deals with criminal negligence " Whoever causes death of any person by doing a rash and negligent act not amounting to culpable homicide shall be punished with imprisonment upto 2 years, with fine or both" Ref: FORENSIC MEDICINE AND TOXICOLOGY Dr PC IGNATIUS THIRD EDITION PAGE 379